Treatment in a patient suffering from Diffuse macular retinopathy is
1. Macular ablation
2. Pan retinal photocoagulation
3. Grid pattern photocoagulation of macula
4. Pan macular photocoagulation

Correct answer: 3. Grid pattern photocoagulation of macula